The treatment of choice in a primigravida at term in labour with transverse lie and cervical dilatation of 6cm with intact membrane is :
1. Wait and watch till full dilation of Cervix
2. Internak podalic version and breech extraction
3. Lower segment cesarean section
4. Bipolar version

Correct answer: 3. Lower segment cesarean section

Explanation: Lower segment cesarean section